Blood supply of medulla comes from all, EXCEPT
1. Superior cerebellar artery
2. Vertebral artery
3. Anterior spinal artery
4. Posterior inferior cerebellar artery

Correct answer: 1. Superior cerebellar artery

Explanation: A. i.e. Superior cerebellar artery